A characteristic of Diagnostic test (as compared to Screening test) is:
1. Test results are arbitrary and final
2. Based on one criterion or cut-off point
3. Less accurate
4. Done on those with indications or sick

Correct answer: 4. Done on those with indications or sick